During nutritional assessment of a surgical patient, the status of muscle protein is indicated by which one of the following parameters -
1. Serum albumin
2. Triceps skin fold thickness
3. Mid-arm circumference
4. Hb level

Correct answer: 3. Mid-arm circumference

Explanation: • Anthropometric techniques incorporating measurements of skinfold thicknesses and mid-arm circumference permit estimations of body fat and muscle mass, and these are indirect measures of energy and protein stores.
• Skinfold thickness is measured at ulnar, triceps, subscapular and suprailiac region.